Most common complication of Giant cell arteritis
1. Stroke
2. MI
3. Blindness
4. Renal failure

Correct answer: 3. Blindness

Explanation: GIANT CELL ARTERITIS (TEMPORAL ARTERITIS) Superficial temporal, vertebral & major aortic arch branches may be involved. Ischemic symptoms are common, including claudication of facial or extremity muscles & retinal ischemia Blindness, usually irreversible, is a dreaded complicated.